Which of the following is true about sickle cells?
1. Sickling occurs equally in both heterozygous and homozygous variants
2. Fetal hemoglobin facilitates sickling
3. Sickling is reversible with oxygenation
4. Sickling is associated with reduced MCHC

Correct answer: 3. Sickling is reversible with oxygenation

Explanation: - Sickle cell disease is a common familial hemolytic anemia caused by a point mutation in b-globin in which glutamic acid is replaced by valine at 6th position. - It promotes the polymerization of deoxygenated hemoglobin, leading to red cell distortion, hemolytic anemia, microvascular obstruction, and ischemic tissue damage. - This sickling is reversible with oxygenation. - Sickling is severe in homozygous state than heterozygous state. - HbS facilitates sickling, not HbF - Dehydration & deoxygenation facilitates sickling